a child prsents with infective skin lesions of the leg culture showed hemolytic colonies which were gram +ve cocci in chains.the test to confirm the organism
1. bile solubility
2. optochin sensitivity
3. bactriacin sensitivity
4. catalase positive

Correct answer: 3. bactriacin sensitivity

Explanation: Bacteriocins and bacteriocin-like inhibitory substances * Numerous strains of LAB associated with foods produce bacteriocins, defined as proteinaceous compounds with activity against related species * Bacteriocins are ribosomally-synthesized peptides or proteins secreted by certain strains of bacteria. Mechanisms * The antagonistic activity of LAB to pathogens may affect the growth rate and/or survival depending on the type and the concentration of bacteriocin. * Most bacteriocins kill target cells by permeabilization of the cell membrane, and the activity is often very specific, since they employ specific receptors on the target cell surfaces ref ; ananthanaryana 9th ed